CO2 in air is measured by
1. Kieffer test
2. EPKJMAN'S test
3. Silvered thermometer
4. Orthotoludene test

Correct answer: 1. Kieffer test